Airway noise originating in the nose, nasopharynx and oropharynx is known as:
1. Stridor
2. Stertor
3. Both of the above
4. None of the above

Correct answer: 2. Stertor

Explanation: Stridor is a harsh noise produced by turbulent airflow through a partially obstructed airway. It may be inspiratory, expiratory, or both (biphasic). The term stertor is used to describe airway noise originating in the nose, nasopharynx, and oropharynx; therefore, stridor is generally of laryngeal or tracheal origin.